Circle of Hebra is associated with –
1. Syphilis
2. Scabies
3. Leprosy
4. Lichen planus

Correct answer: 2. Scabies

Explanation: In scabies severe itching typically worsen at night, most notably along the web spaces of finger, wrists, elbows, axillae and groin area →​ areas known as the circle of Hebra.